Electrons in electron transport chain travel from:
1. One way irrespective of the potential
2. Low to high potential
3. Two way
4. High to low potential

Correct answer: 2. Low to high potential

Explanation: Electrons in electron transport chain travel from low redox potential to high redox potential. Redox potential is the tendency to gain electrons. In ETC, NADH has minimum R.P. (a Strong Electron Donor) and oxygen(O2)has maximum R.P. (a Strong Electron Acceptor).